Primary amoebic meningitis caused by:
1. Naegleri fowleri
2. E. histolytic
3. E. coli
4. B. coli

Correct answer: 1. Naegleri fowleri

Explanation: Ans. is 'a' i.e., Naegleri fowleriPathogenic free living Amoeba (BAN)1. Naegieria fowleri - Acute and fulminating primary amoebic meningoencephalitis (PAM).2. Acanthamoeba - Ulcerative keratitis and granulomatous amoebic encephalitis (GAE).3. Balamuthia (Rare) - Chronic granulomatous amoebic encephalitis.